Nasopharyngeal carcinoma seen in which occupation?
1. Asbestos industry
2. Cement industry
3. Wood workers
4. Chimney workers

Correct answer: 3. Wood workers

Explanation: Ans. is 'c' i.e., Wood workersRef Dhingra 4h/e p. 235; Nasopharyngeal carcinoma By Andrew Van Hasselt,Alan G. Gibb 2d/e p. 4Wood dusts exposure is a risk factor of nasopharyngeal carcinoma andAdenocarcinoma of PNS.Formaldehyde exposure is a risk factor of Nasopharyngeal carcinoma.